Which of the following represents the retinal detachment
1. Separation of neurosensory retina from choroid
2. Separation of bruch's membrane from retinal pigment epithelium
3. Separation of neurosensory retina from retinal pigment epithelium
4. Separation of internal limiting membrane from retinal pigment epithelium

Correct answer: 3. Separation of neurosensory retina from retinal pigment epithelium

Explanation: Separation of neurosensory retina from retinal pigment epithelium is called retinal detachment TYPES Rhegmatogenous Tractional Exudative